Most common site of metastasis of carcinoma bronchi
1. Liver+Bones
2. Prostate
3. Kidney
4. Breast

Correct answer: 1. Liver+Bones